What are the enzymes required for the formation of Phosphoenolpyruvate from Pyruvate?
1. Pyruvate dehydrogenase and Pyruvate carboxylase
2. Lactate Dehydrogenase and Pyruvate Dehydrogenase
3. Pyruvate carboxylase and Phosphoenolpyruvate Carboxykinase
4. Phosphoenolpyruvate carboxykinase and Pyruvate Dehydrogenase

Correct answer: 3. Pyruvate carboxylase and Phosphoenolpyruvate Carboxykinase

Explanation: Ans. is 'c' i.e., Pyruvate carboxylase and Phosphoenolpyruvate CarboxykinasePyruvate conversion to Phosphoenol pyruvate is a part of gluconeogenesis, Pyruvate is converted to Oxaloacetate by Pyruvate Carboxylase, Pyruvate Carboxylase requires Biotin as coenzyme. It uses Carbondioxide in the form of Bicarbonate. It uses ATP as a source of energy.